Absolute monocytosis is seen in:
1. Brucellosis
2. Kala-azar
3. TBBrucellosis
4. All

Correct answer: 4. All

Explanation: A i.e. Brucellosis; B i.e. Kalazar; C i.e. TB Absolute monocyte count > 800//t I is called monocytosis, and it is associated with Tuberculosis (TB), Brucellosis, kalazar (visceral leishmaniasis)Q, subacute bacterial endocarditis, Rockey mountain spotted fever, & Malaria Malignancies , leukemia, myeloprotiferative syndromes, hemolytic anemias, chronic idiopathic neutropenias , & granulomatous diseases such as sarcoidosis, regional enteritis (IBD) and collagen vascular diseases.